Elective cholecystectomy is which type of surgery?
1. Clean contaminated
2. Clean
3. Dirty
4. Contaminated

Correct answer: 1. Clean contaminated

Explanation: Clean No viscus opened Thyroid, Breast surgeries Clean-contaminated Viscus opened, minimal spillage Cholecystectomy, Gastric surgery Contaminated Open viscus with spillage or inflammatory disease Inflamed appendix, Rectal surgeries Dirty Pus or perforation, or incision through an abscess I&d wound debridement